Scabies in adults differs front that in children by -
1. Not involving face
2. Non involving genitals
3. Not involves areola
4. involves whole body

Correct answer: 1. Not involving face

Explanation: In adults the sites involved are present in finger web spaces , sides of fingers , flexural aspect of wrists ,feet forearm , axilla, buttocks , thighs . In infants the above sites and also scalp , face , palms and soles are also involved. iadvl textbook of dermatology page 429